A person showing two cell lines derived from two different zygotes is k/a
1. Chimerism
2. Mosaicism
3. Segregation
4. Pseudo-dominance

Correct answer: 1. Chimerism

Explanation: Chimerism:A chimeric organism is one in which cells originate from more than one embryo.This condition occurs through the fertilization of two separate ova by two sperm, followed by the fusion of the two at the blastocyst or zygote stages. This results in the development of an organism with intermingled cell lines. Ref: Chapter 15. Molecular and Genomic Surgery. In Brunicardi F, Andersen D.K., Billiar T.R., Dunn D.L., Hunter J.G., Matthews J.B., Pollock R.E. (Eds), Schwartz's Principles of Surgery, 9e.